Adder head appearance on intravenous pyelographv is seen in:
1. Hydronephrosis
2. Horse shoe kidney
3. Ureterocoele
4. Tubercular cystitis

Correct answer: 3. Ureterocoele

Explanation: Ans: C i.e. Ureterocoele Radiological signs associated with urinary system Hydronephrosis on nephrogram will show rim sign Horse shoe kidney will show flower vase curves of ureter on radiographs Cobra head sign is classically seen with an intravesical (orthotopic) Ureterocoele Thimble bladder is radiological appearance of TB cystitis.